Goiter that appears along with toxic symptoms is:
1. Primary thyrotoxicosis.
2. Secondary thyrotoxicosis.
3. Toxic nodule.
4. None.

Correct answer: 1. Primary thyrotoxicosis.